Apoptosis is regulated by which gene?
1. p53
2. BRAC
3. N-myc
4. RB

Correct answer: 1. p53

Explanation: Ans. is 'a' i.e., p53